Most common microsomal enzyme involved in metabolism of xenobiotics is
1. CYP 3A4
2. CYP 1A2
3. CYP 2A6
4. CYP 2B6

Correct answer: 1. CYP 3A4

Explanation: Ref Goodman and Gilman 12th/129 CYP 3A4 is involved in metabolism of xenobiotics